True regarding the lymphatic drainage of the neck-a) Posterior tongue has no significant lymphatic supplyb) Tonsil drains to the upper deep cervical nodesc) Inevitably all lymphatics ultimately supply to the lower deep cervical nodes.d) Anterior half of the nasal septum drain to the submandibular node
1. abc
2. bcd
3. ac
4. bd

Correct answer: 2. bcd

Explanation: Palatine tonsils drain into upper deep cervical nodes.
Lymph nodes draining the superficial and deep tissues of head and neck finally drain into deep cervical group of nodes.
Anterior half of nasal cavity (including anterior part of nasal septum) drains into submandibular nodes.
Poster 1/3 and posterior most part of tongue drain into upper deep cervical nodes.